A patient suddenly experienced pain radiating along the medial border of the dorsum of foot. Which of the following nerve is most likely to be involved?
1. Sural nerve
2. Saphenous nerve
3. Deep peroneal nerve
4. Superficial peroneal nerve

Correct answer: 2. Saphenous nerve

Explanation: Since the patient is having pain along the medial border of dorsum of foot, he is most likely suffering from an injury to saphenous nerve. Saphenous nerve is the terminal sensory branch of femoral nerve. It provides sensory innervations to the medial region of the heel, medial malleolus, medial border of foot as far as great toe. Ref: Grays Anatomy for Students, 2nd Edition, Page 625; Clinical Anatomy By Regions By Richard S. Snell, 8th Edition, Page 627